Not an indication for admission in burns ward:
1. Acid burns
2. Inhalational injury
3. 5% partial thickness bums in an unmarried female
4. 10% deep burns in a male

Correct answer: 3. 5% partial thickness bums in an unmarried female

Explanation: Ans. 5% partial thickness bums in an unmarried female